JG cells (juxta glomerular apparatus) are
1. Macula densa
2. Smooth muscullar cells of afferent arteriole
3. Smooth muscullar cells of efferent arteriole
4. Islets of epithelial cells

Correct answer: 2. Smooth muscullar cells of afferent arteriole

Explanation: INDERBIR SINGH'S TEXTBOOK OF HUMAN HISTOLOGY-PAGE NO:313Juxtaglomerular cells the muscle cells in the wall of the afferent arterioles are modified.they are large and rounded(epithelium)and have spherical nuclei. their cytoplasm contains granules that can be stained with special methods. these are called juxtaglomerular cells